Pressure upon the chest leading to a so of mechanical fixation of chest and thereby preventing respiratory movements seen in
1. Gagging
2. Choking
3. Smothering
4. Traumatic asphyxia

Correct answer: 4. Traumatic asphyxia

Explanation: Traumatic asphyxia the term 'traumatic asphyxia' or 'crush asphyxia' is applied where there is pressure upon chest leading to a so of mechanical fixation of chest and thereby preventing respiratory movements. Eg: burial under the rubble of a collapsed building. Crushing under an automobile. Etc Ref: TEXTBOOK OF FORENSIC MEDICINE AND TOXICOLOGY KRISHNAN VIJ PAGE 118